Keshan's cardiomyopathy due to deficiency of:
1. Chromium
2. Selenium
3. Magnesium
4. Copper

Correct answer: 2. Selenium

Explanation: Selenium Selenium as selenocysteine is an essential component of the enzyme glutathione peroxidase Selenium containing enzyme 5'-deiodinase converts thyroxine (T4) to triiodothyronine in the thyroid gland. Thioredoxin reductase, involved in purine nucleotide metabolism Sources- seafood and meat, nuts Deficiency - Keshan's disease Toxicity - Selenium toxicity lead to Selenosis